Renal vein thrombosis is most commonly found in :
1. Focal glomenilosclerosis
2. Membranous GN
3. Minimal change GN
4. Acute pyelonephritis

Correct answer: 2. Membranous GN

Explanation: Nephrotic syndrome accompanying membranous glomerulopathy and certain carcinomas are the most common cause of RVT.
Remember :

Most common cause of RVT in adult —› Nephrotic syndrome due to membranous glomerulonephritis.
Most common cause of RVT in children —› K nephrotic syndrome due to minimal change disease.
Most common cause of RVT in newborns and infants ---> Asphyxia, dehydration, shock and sepsis.